Referred ear pain can travel through all except
1. Trigeminal nerve
2. Glossopharyngeal nerve
3. Abducent nerve
4. Vagus nerve

Correct answer: 3. Abducent nerve

Explanation: Reffered pain to ear due to adenoiditis is medicated through cranial nerve 9 and 10. In case of carcinoma of pyriform sinus pain is reffered to ear through internal laryngeal nerve Ref: Dhingra 7e pg 275,272.